One DALY signifies
1. 1 year of disease free life
2. 1 lost year of healthy life
3. 1 month of bedridden life
4. 1 day of diseased life

Correct answer: 2. 1 lost year of healthy life

Explanation: DALY is a measure of overall disease burden, expressed as a number of years lost due to ill-health, disability or early death. 1 DALY = 1yr of healthy life lost Ref : Park's Textbook of Preventive and Social Medicine; 23rd edition; Page 26